A 35 year old female non-smoker has adeno-carcinoma of lung. Which one of the following immunohistochemical marker is used for detection of adenocarcinoma of lung?
1. Thyroid transcription factor
2. Alpha fetoprotein
3. Glial fibrillary acidic protein
4. Progesterone receptor

Correct answer: 1. Thyroid transcription factor

Explanation: Ref:Textbook of pathology (Harsh mohan) 6th edition,page no.500 Immunohistochemical marker used for detection of adeno-carcinoma of lung for a 35 year old female non-smoker is Thyroid transcription factor Adenocarcinoma: Adenocarcinoma, also calledperipheral carcinoma due to its location and scar carcinoma due to its association with areas of chronic scarring, is themost common bronchogenic carcinoma in women and isslow-growing. Recent estimates on adenocarcinoma place this as the most frequent histologic subtype of lung cancer.Adenocarcinoma is further subclassified into 4 types: i) Acinar adenocarcinoma which has predominance of glandular structure and often occurs in the larger bronchi. ii) Papillary adenocarcinoma which has a pronounced papillary configuration and is frequently peripherally located in the lungs and is found in relation to pulmonary scars (scar carcinoma). iii) Bronchiolo-alveolar carcinoma is characterised by cuboidal to tall columnar and mucus-secreting epithelial cells growing along the existing alveoli and forming numerous papillary structures . Ultrastructurally, these tumour cells resemble Clara cells or less often type II pneumocytes. iv) Solid carcinoma is a poorly-differentiated adenocarcinoma lacking acini, tubules or papillae but having mucuscontaining vacuoles in many tumour cells.